Karyotyping of fetus can be done by all Except
1. Chorionic villus sampling
2. Cordocentesis
3. Amniocentesis
4. Fetal skin biopsy

Correct answer: 4. Fetal skin biopsy

Explanation: Karyotyping is a test to examine chromosomes in a sample of cells. This test can help identify genetic problems as the cause of a disorder or disease. In utero sampling of fetal skin, liver, and muscle may be required to diagnose before-bih disorders that cannot be diagnosed by analysis using chorionic villi or amniotic fluid. Refer robbins 158